Tonography helps you to determine:
1. The rate of formation of aqueous
2. The facility of outflow of aqueous
3. The levels of intraocular pressure at different times.
4. None of the above

Correct answer: 2. The facility of outflow of aqueous

Explanation: Tonography is a noninvasive technique for determining the facility of aqueous outflow. Ref: Parson's Diseases of The Eye, 18th Edition, Page 7226